Iris pearls are pathognomonic for
1. Syphilis
2. Sarcoidosis
3. Herpes simplex virus
4. Leprosy

Correct answer: 4. Leprosy

Explanation: Iris pearls are seen as glistening white beads at the pupillary margin. They are compared of bacilli within histiocytes and are pathognomonic for Lepromatous uveitis.